In the treatment of severe bradycardia, all of the following can be the best modality of treatment except-
1. Atropine
2. Pacing
3. Isoproterenol
4. Diltiazem

Correct answer: 4. Diltiazem

Explanation: atropine,pacing,isoproterenol can be used to increase heart rate in bradycardia diltiazem is a calcium channel blocker used to reduce heart rate Ref Harrison 20th edition pg 1456